Which of the following is a non - selective MAO inhibitor?
1. Moclobemide
2. Rasagiline
3. Selegiline
4. Isocarboxazid

Correct answer: 4. Isocarboxazid

Explanation: Reversible inhibitors of MAO - A :  Moclobemide.
Selective  inhibitors of MAO - B :  Selegiline, Rasagiline.
Non - selective inhibitors of MAO : Isocarboxazid, Phenelzine.